Soft tissue mass in the chest with rib erosion in X-ray is seen in all except -
1. Leukemia
2. Ewing's sarcoma
3. Multiple myeloma
4. Osteosarcoma

Correct answer: 1. Leukemia

Explanation: Multiple myeloma, Ewing's sarcoma and parosteal osteosarcoma can cause rib lesion with adjacent soft tissue mass.
Leukemia does not cause rib lesion with adjacent soft tissue mass.